Death sentence can be awarded by :
1. First class magistrate
2. Second class magistrate
3. Session court
4. Chief judicial magistrate

Correct answer: 3. Session court

Explanation: C i.e., Session court